Decreased interincisal angle indicates:
1. Retrusion of teeth
2. Protrusion of teeth
3. Vertical overlap
4. Horizontal overlap

Correct answer: 2. Protrusion of teeth